In diabetic nephropathy all of the following are true, except-
1. Cardiovascular abnormalities can occur
2. Micro and macro albuminuria can occur
3. ACE inhibitors can reduce micro albuminuria
4. Insulin requirement becomes high

Correct answer: 4. Insulin requirement becomes high

Explanation: Diabetic nephropathy (diabetic kidney disease) is kidney damage that results from having diabetes. Having high blood glucose levels due to diabetes can damage the part of the kidneys that filters your blood. The damaged filter becomes 'leaky' and lets protein into your urine . Insulin therapy in type 1 diabetic patients with overt diabetic nephropathy is characterized by two features: while suffering from a considerably increased risk of severe hypoglycemic episodes , they show poorer metabolic control than diabetic patients with normal renal function . The increased hypoglycemic risk may be partially explained by the decline in renal insulin clearance, as 30-80% of systemically circulating insulin is removed by the kidneys . A reduction of insulin clearance has been described in nondiabetic patients with end-stage renal failure and mild to moderate renal impairment ; however, until now, it has not been studied in patients with diabetic nephropathy. Ref - diabetes journals.com